Arsenic is useful in the treatment of:
1. Acute promyelocytic leukemia
2. Myelodysplastic syndrome
3. Transient myeloproliferative disorder
4. All of the above

Correct answer: 1. Acute promyelocytic leukemia

Explanation: Arsenic has been a traditional poison for ages. Recently,therapeutic value of small doses of arsenic trioxide in APL has been recognised.It probably acts by enhancing reactive oxygen free radical generation in APL.It is primarily used in resistant/relapsed cases of APL after tretinoin treatment.Later ,Arsenic trioxide is also being included in first line therapy of APL along with tretinoin and an anthracycline,particularly in high risk cases and in those who have initial WBC count > 10,000 per microlitre.With such triple therapy around 90% APL patients have remained in long term remissions. ESSENTIALS OF MEDICAL PHARMACOLOGY K.D.TRIPATHI SEVENTH EDITION PAGE NO:869